Wilson’s disease is?
1. AR
2. AD
3. XR
4. XD

Correct answer: 1. AR

Explanation: Wilson’s disease is an autosomal recessive disorder.
Autosomal recessive disorders
1) Metabolic - Cystic fibrosis, Phenyl ketonuria, Galactosemia, Homocystinuria, Lysosomal
storage dis, al- antitrypsin deficiency, Wilson disease, Hemochromatosis, Glycogen storage disorders
2) Hematological - Sickle cell anemia, Thalassemias
3) Endocrine - Congenital adrenal hyperplasia (some variants), Albinism
4) Skeletal - EDS (some variants) Alkaptonuria
5) Nervous -Friedreich ataxia, Spinal muscular atrophy, Neurogenic muscular atrophies, Ataxia
Telegiectasia.